All of the following are true regarding zenkers diverticulum except
1. It is a false diverticulum
2. It occurs in children
3. It is a posterior pharyngeal pulsion diverticulum
4. M/C site for diverticulum is killians dehiscence

Correct answer: 2. It occurs in children

Explanation: PHARYNGEAL POUCH Also called hypopharyngeal diverticulum or Zenker's diverticulum, it is a pulsion diverticulum where pharyngeal mucosa herniates through the Killian's dehiscence--a weak area between two parts of the inferior constrictor. AETIOLOGY :- Exact cause is not known. It is probably due to spasm of cricopharyngeal sphincter or its incoordinated contractions during the act of deglutition. It is usually seen after 60 years of age. PATHOLOGY :- Herniation of pouch starts in the midline. It is at first behind the oesophagus and then comes to lie on its left. Mouth of the sac is wider than the opening of oesophagus and food preferentially enters the sac. Ref:- Dhingra; pg num:-274